azzoparardi effect is seen in ?
1. squamous cell carcinoma
2. large cell carcinoma
3. small cell carcinoma
4. adenocarcinoma lung

Correct answer: 3. small cell carcinoma

Explanation: Azzoparrdi effect : its basophillic staining of blood vessels wall . * in small cell carcinoma blood vessels in necrotic area may show smudged hematoxophilic material in their walls, which represents DNA released from tumour cells. This is referred to as Azzopardi effect. ref : robbins 10th ed